ADAMTS 13 is associated with which of the following disorders?
1. TTP
2. Churg Strauss syndrome
3. Wegener's granulomatosis
4. Membranous nephropathy

Correct answer: 1. TTP

Explanation: ADAMTS 13:- -Metalloprotease enzyme which inhibits VWF clumps. -cleaves VWF multimers into smaller monomers for eventual degradation Thrombotic Thrombocytopenic purpura (TTP)- Causes- Deficiency of ADAMTS 13 Ab formation against ADAMTS 13 - |ADAMTS 13 activity - VWF clumping - Platelet-Thrombi present C/F - Thrombocytopenia Microangiopathic Hemolytic anaemia Fever Renal failure CNS features Rx- Plasmapheresis